Exsanguinating blood loss is seen in which of the following condition
1. Closed humerus fracture
2. Closed tibia fracture
3. Open femur fracture
4. Open humerus fracture

Correct answer: 3. Open femur fracture

Explanation: The femoral shaft is circumferentially padded with large muscles. This provides advantages and disadvantages: reduction can be difficult as muscle contraction displaces the fracture; however, healing potential is improved by having this well- VASCULARISED sleeve containing a source of mesenchymal stem cells, and open fractures often need no more than split thickness skin grafts to obtain satisfactory cover. So there can be excessive blood loss and patient may go for shock. REF:Apley's system of orthopaedics - 9th edn- pg no 859.